Afferent component of corneal reflex is mediated by:
1. Vagus nerve
2. Facial nerve
3. Trigeminal nerve
4. Glossopharyngeal nerve

Correct answer: 3. Trigeminal nerve